Which of the following is used to treat methotrexate toxicity :
1. Folic acid
2. Folinic acid
3. Riboflavin
4. Cyanocobalamine

Correct answer: 2. Folinic acid